All of the following ocular structures are derived from the surface ectoderm except:
1. Crystalline lens
2. Substantia propria of the cornea
3. Conjunctival and corneal epithelium
4. Lacrimal glands

Correct answer: 2. Substantia propria of the cornea

Explanation: Ans. Substantia propria of the cornea